The earliest clinical manifestation of siderosis bulbi is
1. Deposits in Descemet's membrane of cornea
2. Discolouration of iris
3. Pigmentary changes in retina
4. Rusty deposits in the anterior subcapsular cells of the lens

Correct answer: 4. Rusty deposits in the anterior subcapsular cells of the lens

Explanation: Siderosis bulbi It refers to the degenerative changes produced by an iron foreign body. Sidesosis bulbi usually occurs after 2 months to 2 years of the injury. However, earliest changes have been reported after 9 days of trauma. Clinical manifestations : 1. The anterior epithelium and capsule of the lens are involved first of all. Here, the rusty deposits are arranged radially in a ring. Eventually, the lens becomes cataractous. 2. Iris. It is first stained greenish and later on turns reddish brown. 3. Retina develops pigmentary degeneration which resembles retinitis pigmentosa. 4. Secondary open angle type of glaucoma occurs due to degenerative changes in the trabecular meshwork. Ref:- A K KHURANA; pg num:-409,410